Ca prostate most common metastasis to -
1. Skull
2. Femur
3. Lumbar spine
4. Sacrum

Correct answer: 3. Lumbar spine

Explanation: Ans. is 'c' i.e.' Lumbar spine "Lymphatic metastases are most often identified in the obturator lymph node chain _____Smith so Most common metastatic sites of prostate carcinoma are lymph nodes & bones,o Lymphatic metastasis occurs most commonly to - obturator lymph nodes,o Other lymph nodes involved are :Common iliacPresacralPeriaorticAlso Remembero Most common bony metastasis occurs in (in decreasing order)Lumbar spine (most common)Proximal femurPelvisThoracic spineRibsSternumSkullHumerus (Smith s Urology? 17/e)o The bone lesions of metastatic carcinoma prostate are typically osteoblastic,o Visceral metastases most commonly involve the lung, liver, and adrenal gland.